Oily substance secreting gland is:
1. Sweat gland
2. Meibomian gland
3. Salivary gland
4. Lacrimal gland

Correct answer: 2. Meibomian gland

Explanation: Ans. B: Meibomian glandThe meibomian glands (or tarsal glands) are a special kind of sebaceous glands at the rim of the eyelids inside the tarsal plate, responsible for the supply of meibum, an oily substance that prevents evaporation of the eye's tear film, prevents tear spillage onto the cheek, makes the closed lids airtight and acts as a blockade for tear fluid, trapping tears between the oiled edge and eyeball